Not caused by echo virus?
1. Herpagina
2. Pleurodynia
3. Hemorrhagic fever
4. Myocarditis

Correct answer: 3. Hemorrhagic fever

Explanation: Echo virus comes under EnterovirusesThe features are:nonspecific febrile illnessgeneralized disease of the newbornaseptic meningitis and encephalitispleurodyniamyocarditis and pericarditisexanthemsHand-Foot-And-Mouth DiseaseHerpangina(ref: Harrison's 18/e p1028)